A person has been brought in casualty with history of road accident. He had lost consciousness transiently and gained consciousness but again became unconscious. Most likely, he is having brain hemorrhage of:
1. Intracerebral
2. Subarachnoid
3. Subdural
4. Extradural

Correct answer: 4. Extradural

Explanation: Ans. (d) Extradural* History typical of Lucid interval.* Immediately he needs evacuation of the EDH.* Usually they will have no hypotension.